Modified Bloom Richardson criteria for Carcinoma Breast includes
1. Nuclear polymorphism
2. Tubule formation
3. Mitotic rate
4. All of the above

Correct answer: 4. All of the above

Explanation: Modified Bloom Richardson criteria for Carcinoma Breast includes Nuclear polymorphism Tubule formation Mitotic rate Ref of img: